In a case of meningitis, Neisseria meningitides was grown in culture after 48 hours. Which measure is to be taken immediately?
1. Isolation of contacts
2. Antibiotic treatment of contacts
3. Vaccination of contact
4. All of the above

Correct answer: 2. Antibiotic treatment of contacts

Explanation: Meningococcal Meningitis prevention and control: Treatment of case Antibiotics started <48 hours of illness save 95% lives Drug of choice: Penicillin (Ceftriaxone if allergic to penicillin) Epidemics: Single dose Long-acting Chloramphenicol or Ceftriaxone. Treatment of Carriers: Rifampicin Treatment of contacts: Start treatment <24 hours of identification of index case Drugs used: Rifampicin, Ciprofloxacin, Ceftriaxone, Azithromycin Ref: Park 25th edition Pgno: 179